Polychromatic lusture is seen in-
1. Complicated cataract
2. Diabetes mellitus
3. Post radiation cataract
4. Congenital cataract

Correct answer: 1. Complicated cataract

Explanation: In complicated cataract 'polychromatic luster'ie., appearance of iridescent coloured particles of reds, greens and blue is a very characteristic sign (Rainbow cataract). IMG REF